Which is NOT a complication of chicken pox/ varicella:
1. Pancreatitis
2. Pneumonia
3. Encephalitis
4. Reye's syndrome

Correct answer: 1. Pancreatitis

Explanation: Ans: A i.e. Pancreatitis